Which of the following is hypointense (dark) on T2-weighted MRI?
1. CSF
2. Fat
3. Edema
4. Hard calcification

Correct answer: 4. Hard calcification